A young lady presents with symptoms of Urinary Tract Infection. All of the following findings on a midstream urine sample support the diagnosis of 'Uncomplicated Acute Cystitis', EXCEPT:
1. Positive Nitrite Test
2. CFU count < 1000/ml
3. Detection of one bacteria / field on Gram stain
4. >10WBC/HPF

Correct answer: 2. CFU count < 1000/ml

Explanation: Lab Findings in Uncomplicated acute cystitis are: Urinalysis dipstick: pH>7, positive for leuckocyte esterase and nitrites. Microscopic exam: WBC> 2-5 WBC/HPF, bacteria, positive gram stain for cocci or rods, yeasts, and blood Urine culture and sensitivity: positive culture standard 105 CFU, symptomatic female - 102 & symptomatic males - 103 Ref: Family Practice Guidelines By Jill C. Cash, Cheryl A. Glass - Page 282